Which drug acts by inhibiting cell wall -
1. Cefepime
2. Tetracycline
3. Erythromycin
4. Ciprofloxacin

Correct answer: 1. Cefepime

Explanation: Ans. is 'a' i.e., Cefepime Mnemonic for Drugs acting on cell wall Very Funny BioChemistry Lab o Very -------> Vancomycin o Funny -------> Fosfomycin o Bio -------> Bacitracin o Chemistry -------> Cycloserine o Lab -------> Lactam (beta-lactams --> Penicillin, cephalosporins, monobactom, carbapenam). o Because these drugs act during cell wall synthesis, they are active against multiplying organisms (multiplying organisms synthesize new cell wall). They are not effective against resting organisms because these organisms have already synthesized cell wall. Note : Cefepime is a fourth generation cephalosporin.